Management of 5 cm size renal struvite calculus
1. ESWL
2. PCNL
3. Retrograde intrarenal surgery
4. Open Pyelolithotomy

Correct answer: 2. PCNL

Explanation: For stones which are

>2cm size
Hydronephrosis
Obstructed

PCNL is performed